Calculus is most commonly seen in which salivary gland:
1. Sublingual
2. Palatal
3. Parotid
4. Submandibular

Correct answer: 4. Submandibular

Explanation: Stone formation is most common in submaxillary (submandibular) gland (80-90% cases) followed by parotid gland (10-20%). It can occur at any age with a predilection for men. Predisposing factors for stone formation are systemic disease (Hyperparathyroidism, hypercalcemia, gout, diabetes and hypertension) therefore submandibular calculi contain primarily calcium phosphate and hydroxyapatite and are radiopaque and visualized on X-ray Parotid gland calculi are less radiopaque M/C presentation - Recurrent swelling and pain in the submandibular gland exacerbated with eating. IOC to detect stones - CT scan Sialography is not done routinely and is contraindicated in a patient of sialadenitis. Management Depending on the size of stone and the site at which it is located, it can be removed by: Intraoral extraction Surgical excision Endoscopic removal